Cut off for TIA definition:
1. 12 hours
2. 24 hours
3. 48 hours
4. 36 hours

Correct answer: 2. 24 hours

Explanation: Ans. B. 24 hoursThe standard definition of TIA requires that all neurologic signs and symptoms resolve within 24 hours regardless of whether there is imaging evidence of new permanent brain injury; stroke has occurred if the neurologic signs and symptoms last for >24 hours.